A female, Lalita, aged 26 yrs accidentally takes 100 tablets of paracetamol. What is treatment of choice:
1. Lavage with charcoal
2. Dialysis
3. Alkaline diuresis
4. Acetyl cystein

Correct answer: 4. Acetyl cystein

Explanation: D i.e. Acetyl cysteine In cases of moderate to severe poisoning of paracetamol, N? acetyl cysteine (mucomyst) should be givenQ orally within 24 hours of overdose to prevent hepatic damage. Treatment of Paracetamol poisoning 1. Gastric lavage - useful in < 4 hours. 2. < 2.5 lit fluid daily, as pcm 1/t fluid retention 3. N-acetyl cysteineQ (Treatment of choice) 4. Hemodialysis for ARF